A 35 year old female with developing class-III malocclusion has asymmetry with chin deviated to left side. On CT bony spicules like mass growing in the direction of lateral pterygoid is due to?
1. Osteoid osteoma
2. Condylar hyperplasia
3. Osteopetrosis
4. Osteochondroma

Correct answer: 4. Osteochondroma